4 - 8 experts discussing a given problem in front of audience-
1. Symposium
2. Panel discussion
3. Workshop
4. Group discussion

Correct answer: 2. Panel discussion

Explanation: Ref: p.928 25th edition Park's Textbook of Preventive and Social Medicine